Which of the following is not a type of mouth breathing?
1. Obstructing
2. Anatomical
3. Physiological
4. Habitual

Correct answer: 3. Physiological